A potent inhibitor of beta–lactamase is :
1. Carbenicillin
2. Clavulanic acid
3. Cefamandole
4. Idoxuridine

Correct answer: 2. Clavulanic acid